Melanin pigmentation in pregnancy is known as
1. Melasma
2. Melanoma
3. Epulis
4. Melanosis

Correct answer: 1. Melasma